Nanovalent vaccine offers protection against which type of HPV virus:
1. Types 6,8,10,11,31,33,45,52 & 58
2. Types 6,11,16,18,31,33,45,52,58
3. Types 6,11,16,18,31,38,44,55,58
4. Types 6,11,16,18,19,31,32,33,34

Correct answer: 2. Types 6,11,16,18,31,33,45,52,58

Explanation: HPV vaccines Gardasil 9 For types 6,11,16,18,31,33,45,52,58 Gardasil 4 For types 6,11,16,18 Cervarix For types 16,18 Age when vaccine should be given is 9-25 yrs.